Which of the following infestation leads to malabsorption -
1. Giardia lamblia
2. Ascaris lumbricoides
3. Necator Americanus
4. Ancylostoma duodenale

Correct answer: 1. Giardia lamblia

Explanation: Disease manifestations of giardiasis range from asymptomatic carriage to fulminant diarrhea and malabsorption.

Note: Ancylostoma duodenale also causes malabsorption, but only in children. On the other hand, Giardia causes malabsorption both in children as well as in adults.